The curvature of the cervical line of most teeth will be approximately
1. 2 mm less distally than mesially
2. 1 mm less distally than mesially
3. 2 mm less Lingually than buccally
4. 1 mm Less lingually than buccally

Correct answer: 2. 1 mm less distally than mesially